Narrowest part of larynx in children-
1. Supraglottic
2. Subglottic
3. Glottic region
4. None

Correct answer: 2. Subglottic

Explanation: Ans. is 'b' i.e., Subglottico Narrowest part of larynx in children - Subglottic region,o Narrowest part of larynx in adults - Rima glottidis (glottis)